In which country is Nasopharyngeal carcinoma most commonly found?
1. India
2. China
3. Pakistan
4. Japan

Correct answer: 2. China

Explanation: Nasopharyngeal carcinoma is most common in China particularly in southern states and Taiwan. Factors operative in China are burning of incense or wood(polycyclic hydrocarbon), use of preserved salted fish (nitrosamines) along with vitamin C deficient diet. Infection with Epstein Barr Virus also act as predisposing factor.